Geniculate ganglion is associated with:
1. Lacrimation
2. Taste sensation
3. Salivation
4. Sweating

Correct answer: 2. Taste sensation

Explanation: The facial nerve is a mixed cranial nerve. Its sensory axons extend from the taste buds of the anterior 2/3 of tongue through the geniculate ganglion.